Which fluoroquinolone is highly active against Mycobacterium leprae and is being used in alternative multidrug therapy regiments:
1. Norfloxacin
2. Ofloxacin
3. Ciprofloxacin
4. Lomefloxacin

Correct answer: 2. Ofloxacin

Explanation: (Ref: KDT 6/e p756) R:Rifampicin O:Ofloxacin M:Minocycline Nowdays, even single lesion leprosy is treated as paucibacillary leprosy